Which of the following clinical findings is not present in sickle cell anemia?
1. PAH
2. Fish vertebra
3. Leucopenia
4. Cardiomegaly

Correct answer: 3. Leucopenia

Explanation: Leucocytosis is usually seen in sickle cell anemia and not leukopenia. The most common clinical manifestation of SCD is vaso-occlusive crisis. Pain may be accompanied by fever, malaise, and leukocytosis. A serious complication is the aplastic crisis which is caused by infection with Parvovirus B-19 (B19V). The heart is involved due to chronic anemia and microinfarcts. Hemolysis and blood transfusion lead to hemosiderin deposition in the myocardium. Both ventricles and the left atrium are all dilated. The characteristic appearance includes frontal and parietal bossing and prominent maxilla due to marrow hyperplasia expanding the bone. The extremities may appear proportionately longer than normal because there is often flattening of the vertebrae.